Excess Aldosterone is associated with all the following except -
1. Hypokalemia
2. Hyperkalemia
3. Sodium retention
4. Hypertension

Correct answer: 2. Hyperkalemia